Branched chain keto acids are excreted in urine in:
1. Maple syrup urine disease
2. Hartnup disease
3. Albinism
4. Alkaptonuria

Correct answer: 1. Maple syrup urine disease

Explanation: Branched chain keto acids are excreted in urine in: Maple syrup urine disease